Demography deals with all except-
1. Mortality
2. Fertility
3. Morbidity
4. Marriage

Correct answer: 3. Morbidity

Explanation: Demography is the scientific study of human population. It focuses its attention on three readily observable human phenomena :-


Change in the population size (growth or decline).
The composition of population.
The distribution of population.


It deals with five "demographic processes", namely fertility, mortality, marriage, migration and social mobility. These five processes are continuously at work within a population determining size, composition and distribution.